High Viscosity GIC was discovered in?
1. 1990
2. 1980
3. 1970
4. 2000

Correct answer: 1. 1990